Treatment of choice of bipolar mood disorder?
1. Fluexitine
2. Imipramine
3. Lithium
4. Chlorpromazine

Correct answer: 3. Lithium

Explanation: Ans. is 'c' i.e., Lithium Treatment of bipolar disorder "Lithium carbonate is the mainstay of treatment in bipolar disorder, although sodium valproate and olanzapine are equally effictive in acute mania, as is lamotrigine in the depressed phase" - Harrison. Other drugs used in bipolar disorder Carbamazepine --> Used for acute mania as well as bipolar illness. Valproate --> Particularly useful for rapid cyclers. o Atypical antipsychotics --> Olanzapine, risperidone, aripiprazole or quetiapine with or without benzodiazepine is the treatment of choice for acute mania. o Lamotrigine ---> Useful in rapidcycling bipolar depression. o Topiramiate and Gapapentin have shown some prophylactic effect in bipolar disorder. Remember o DOC for prophylaxis in bipolar disorder --> Lithium o DOC for acute mania --> Olanzapine or other atypical antipsychotics with or without BZDs.